Angiosarcoma of the liver is associated with -
1. Nickel
2. Chromium
3. Cadmium
4. Arsenic

Correct answer: 4. Arsenic

Explanation: Angiosarcoma of the liver is associated with exposure to →
1) Vinyl chloride,
2) Arsenic,
3) Thorotrast